L-asparaginase is partcularly used in which type of leukemia -
1. AML
2. CML
3. ALL
4. CLL

Correct answer: 3. ALL